In organophosphorus compound poisoning atropine can reverse all the following signs EXCEPT
1. Lacrimation
2. Diaphoresis
3. Diarrhea
4. Muscle weakness

Correct answer: 4. Muscle weakness

Explanation: Ans. d (Muscle weakness). (Ref. Harrison, Principles of Internal Medicine, 16th ed., 2589)Rx of organophosphorus compound (OPP)# In OPP poisoning treatment with atropine can reverse muscarinic effects (salivation, lacrimation, urine incontinence, diarrhoea, diaphoresis, emesis, bronchorrhoea, wheezing, seizures, abdominal cramps, and incontinence of feces).# While pralidoxime (2-PAM), a cholinesterase reactivator is for reversal of nicotinic signs and symptoms due to organophosphates, nerve gases or unknown anticholineesterases (hypertension, muscle cramps, fasciculations, weakness and paralysis). Toxicity/ Withdrawal ofRx1Opioid withdrawalMethadone2Aspirin intoxicationSodabicarb3TCA intoxicationSodabicarb4Diphenhydramine intoxicationPhysostigmine5Acetaminophen toxicityN-acetyl cystiene6Alcohol withdrawalChlordiazepoxide7b-blocker toxicityAtropine, IV Fluids, Glucagon8OPPAtropine, Oximes